Critical angle of air corneal interface-
1. 36 degree
2. 46 degree
3. 56 degree
4. 66 degree

Correct answer: 2. 46 degree

Explanation: *Critical angle of cornea-air interface is, approximately 46o. Ref: Khurana: Theory and practice of refraction 7th/e p.99